Which of the following is seen on electron microscopy of medullary thyroid carcinoma specimens?
1. Presence of electron-dense granules in the nucleus
2. Presence of electron-dense granules in the mitochondria
3. Presence of electron-dense granules in the endoplasmic reticulum
4. Presence of electron-dense granules in the cytoplasm

Correct answer: 4. Presence of electron-dense granules in the cytoplasm

Explanation: Medullary carcinoma on electron microscopy reveals variable numbers of membrane-bound electron-dense granules within cytoplasm of neoplastic cells.